Which of the following statements is not true for contact ulcer?
1. The commonest site is the junction of anterior 1/3rd and middle 1 /3rd of vocal cord and gastro-oesophageal reflux the causative factor
2. Can be caused by intubation injury
3. The vocal process is the site and is caused/aggravated by acid reflux
4. Can be caused by adductor dysphonia

Correct answer: 1. The commonest site is the junction of anterior 1/3rd and middle 1 /3rd of vocal cord and gastro-oesophageal reflux the causative factor

Explanation: Contact ulcer is seen on the vocal process(es) of the larynx. Acute ulceration can occur after intubation but contact ulcer with a granuloma is the result of vocal abuse, repeated throat clearing and gastro-oesophageal reflux. Prolonged intubation causes ulceration of mucosa over the vocal process, infection and granuloma formation. However, adductor dysphonia is a type of spasmodic dysphonia in which there is irregular hyperadduction of cords.